Among the following first teeth to erupt in the oral cavity is:
1. Maxillary central incisor
2. Mandibular central incisor.
3. Maxillary lateral incisor.
4. Mandibular lateral incisor.

Correct answer: 2. Mandibular central incisor.

Explanation: Eruption timing for
Mandibular central incisor: 6 yrs.
Mandibular lateral incisor and maxillary central incisor: 7-8 yrs.
Maxillary lateral incisor: 8-9 yrs.